Which of the following is excreted in saliva?
1. Chloramphenicol
2. Ampicillin
3. Lithium
4. Tetracycline

Correct answer: 3. Lithium